Essential amino acids include all EXCEPT:
1. Methionine
2. Tryptophan
3. Leucine
4. Alanine

Correct answer: 4. Alanine

Explanation: ANSWER: (D) AlanineREF: Essentials of Biochemistry - Herbert J. Fromm, Mark Hargrove Page 9Essential amino acids are "essential" not because they are more important to life than the others, but because the body does not synthesize them, making it essential to include them in ones diet in order to obtain them.Nutritionally Essential Amino Acids include: (Mnemonic: "MATT VIL PhLy")MethionineArginineTyrosineTryptophanValineIsoleucineLeucinePhenylalanineLysine